Most common cause of death due to bums in early period is?
1. Sepsis
2. Hypovolemic shock
3. Both
4. None

Correct answer: 2. Hypovolemic shock